Intensity of sensory stimulation is directly related to:
1. Duration of action potential (AP)
2. Frequency of AP
3. Amplitude of AP
4. All of the above.

Correct answer: 2. Frequency of AP

Explanation: Ans. is 'b' i.e. "Frequency of Action potential There are two methods by which brain detects the intensity of a sensory stimulus (differentiates between two stimuli of different intensities)by variation in the frequency of the action potentials generated by the stimulus in a given receptor.By variation in the number of receptors activated by the stimulus.Also knowWeber - Fechner law*It states that the magnitude of the sensation felt in proportionate to the log of intensity of the stimulus*.Example - A person holding 30 grams weight in his hand can barely detect a 1 gm rise in weight (a rise than 1 gm would not be detectable). But when he holds 300 gm of weighty he can rarely detect a 10 gm increase in weight (a rise less than 10 gm would not be detectable to him. So a 300 gm wt. and (Say) 307 gm of weights would appear same to him.)This is expressed mathematically asInterpreted signal strength = Log x stimulus intensity + constant